Increased sexual desire in males is known as -
1. Nymphomania
2. Satyriasis
3. Frigidity
4. Fetishism

Correct answer: 2. Satyriasis

Explanation: Ans. is 'b' i.e. Satyriasis o Satyriasis is excessive sexual desire in male where he enjoys having multiple sexual partners or desires excessive sexual activity.o The female-specific term for the same condition is Nymphomania.o Fetishism means the use of objects for sexual gratification leading to orgasm. For example underclothing, brassiere, petticoat, stocking, shoes, etc.o Frigidity is inability to initiate sexual arousal in female.